Aspirin is used in prophylaxis of MI, because ?
1. It is an analgesic
2. Of antiplatelet action
3. Of sedative effect
4. Of prostaglandins inhibitory actions

Correct answer: 2. Of antiplatelet action

Explanation: Ans. is 'b' i.e., Antiplatelet action